Schizophrenia is treated by:
1. Anti depressants
2. Anti psychotics
3. Anti epileptics
4. Mood stabilizers

Correct answer: 2. Anti psychotics